Raygat's test is used for -
1. Weight of lung
2. Specific gravity of lung
3. Consistency of lung
4. None

Correct answer: 2. Specific gravity of lung

Explanation: Ref:Forensic medicine and toxicology (V.V.Pillay) 17th edition, page no.379 Raygat's test/hydrostatic test:The hydrostatic test is based on the principle that if the infant has breathed, the lung will float in water. each lung is cut into pieces and tested for floataion in water. A piece of liver is used as control. if the liver bit floats, the test has no meaning, it is clear that putrefaction has set in. If all the pieces of lung float, they are crushed under a weight and tested again. floatation is positive when the baby has respired. But if the piece sink after pressure, no respiration has taken place. if some piece float while otherb sink, it mean feeble respiration taken place.